The artery most frequntly responsible for bleeding in massive hemoptysis is-
1. Bronchial Artery
2. Pulmonary Artery
3. Interseginental .Artery
4. Interostal Artry

Correct answer: 1. Bronchial Artery

Explanation: Ans- is 'a' i.e., Bronchial Artery Schwartz writes -"Cavitary lesions are characteristic pathological lesion in pulmonary tuberculosis. Due to intense inflammatory process in the periphery of cavity, hypertrophy of bronchial arterial and pulmonary arterial branches occur. These hypertrophied arterial branches can be eroded by the necrotizing process occurring in the centre of the cavity. This causes Hemoptysis"Between these two the vessels, most frequently responsible for hemoptyses is a dilated bronchial arterial brancho Massive hemoptysis due to active T.B. can occur in the setting of cavitary or noncavitory lesions,o The cause of the bleeding is usually bronchial ulceration with necrosis of adjacent blood vessels and distal alveoli# This type of bleeding is from the bronchial arterial circulation.o Less often active T.B. may cause sudden rupture of Rasmussen s aneurusm.o This is an aneurysm ofpulmonary artery that slowly expands because of inflammatory erosion of external wall until it bursts.